Antihypertensive drugs beneficial or having neutral role in lipid metabolism: a) Prazosin b) Propranolol c) Furosemide d) Losartan e) Chlorthiazide
1. ad
2. ace
3. b
4. c

Correct answer: 1. ad